The perineurium and epineurium of the pulpal nerves are, respectively
1. Thick and thin
2. Thin and thick
3. Both thin
4. Both thick

Correct answer: 3. Both thin

Explanation: The perineurium and the epineurium of the pulpal nerves are thin.